Agents which done resorption in osteoporosis are all except:
1. Risedronate
2. Teriparatide
3. Strontium ranelate
4. Raloxifene

Correct answer: 2. Teriparatide

Explanation: Ref. Textbook of Orthopedics, Ebnezar. Page.654
 
STRONTIUM RANELATE 

Strontium ranelate block bone resorption and also promotes bone formation
Strontium ranelate à  block differentiation of osteoclasts à Increases apoptosis and thus inhibiting bone resorption.
They also appears to promote bone formation. 

TERIPARATIDE 

Recombinant form of PTH 1-34, is approved for treatment of osteoporosis.
Teriparatide stimulates new bone formation,  this new bone appears structurally normal and is associated with a substantial reduction in the incidence of fractures.
Dose - 20 mg subcutaneously daily.